Austin's classification for ossicular chain defects depends on
1. Malleus head and stapes footplate
2. Malleus handle and stapes suprastructure
3. Malleus head and stapes suprastructure
4. Malleus head and stapes head

Correct answer: 2. Malleus handle and stapes suprastructure

Explanation: Austin in 1971 Classified ossicular defects based on malleus handle and stapes suprastructure into- Group A- having malleus and stapes intact and erosion of long process of incus being the most common defect. Group B - with only malleus and absent stapes. Group C - with only stapes and absent malleus. Group D - with absent malleus and stapes suprastructure. Ref- Glasscock-Shambaugh surgery of the ear, 5tg edition, PG 463-485.